Which of the following is an anti apoptotic gene
1. C_myc
2. P53
3. Bcl_2
4. Bax

Correct answer: 3. Bcl_2

Explanation: Ref : Harrison 17/e p506 ; Robbins 9/e p19 synthesize anti-apoptotic members of the Bcl-2 family, the two main ones of which are Bcl-2 itself and Bcl-xL. These proteins antagonize Bax and Bak, and thus limit the escape of the mitochondrial pro-apoptotic proteins. Cells deprived of growth factors not only activate the pro-apoptotic Bax and Bak but also show reduced levels of Bcl-2 and Bcl-xL, thus further tilting the balance toward death. The mitochondrial pathway seems to be the pathway that is responsible for apoptosis in most situa- tions